Blastocyst implantation close to internal os causes-
1. Placenta previa
2. Placenta Percreta
3. Placenta increta
4. Abruptio

Correct answer: 1. Placenta previa

Explanation: Ans. is 'a' i.e., Placenta Previa Placenta Previao When the placenta is implanted partially or completely over the lower uterine segtnent, over and adjacent to the internal os, it is called placenta previa.